A 63 year-old obese woman who has suffered from chronic leg swelling for several years. Her legs get intermittently red and swollen. When this happens she applies a combination of lanolin and Neosporin. One week ago, she did this and her legs got very inflamed and developed blisters, oozing and severe pruritus. The most likely diagnosis is:
1. Allergic contact dermatitis
2. Bullous Impetigo
3. Cellulitis
4. Erysipelas

Correct answer: 1. Allergic contact dermatitis

Explanation: Allergic contact dermatitis of the lower legs is usually caused by topical medication.